The property of proteins to absorb ultraviolet rays of light is due to
1. Peptide bond
2. Imino group
3. Di Sulphide bond
4. Aromatic amino acid

Correct answer: 4. Aromatic amino acid

Explanation: Aromatic side chains (aromatic amino acids) are responsible for the UV light absorption of most proteins.